Which of the following is the best Inotrop drugs for use in right heart failure
1. Dobutamine
2. Dopamine
3. Digoxin
4. Milrinone

Correct answer: 4. Milrinone

Explanation: Goodman and Gilman 11e p575 Inotrope drugs are not used for treatment of right sided heart failure where is the major treatment is diuretics and vasodilators. Milrinone being a phosphodiesterase inhibitor actors Inodilators. Thus, this is the only Inotrope drug used for the treatment of right sided heart failure due to its ability to produce vasodilatation It is indicated in right heart failure with pulmonary hypertension